In the grading of Trachoma, Trachomatous Inflammation-follicular is defined as the presence of
1. Five or more follicles in the upper tarsal conjunctiva
2. Five or more follicles in the lower tarsal conjunctiva
3. Three or more follicles in the lower tarsal conjunctiva
4. Three or more follicles in the upper tarsal conjunctiva

Correct answer: 1. Five or more follicles in the upper tarsal conjunctiva